Indication for Induction of labor is
1. Placenta previa
2. Postterm pregnancy
3. Preterm labor
4. Breech

Correct answer: 2. Postterm pregnancy

Explanation: Induction is indicated when the benefits to either mother or fetus outweigh those of pregnancy continuation. The more common indications include Membrane rupture without labor, Gestational hypertension, Oligohydramnios, Nonreassuring fetal status, Postterm pregnancy, and Various maternal medical conditions such as chronic hypertension and diabetesRef: William's; 25th edition